Lipoxins synthesized from arachidonic acid act by-
1. Decrease leucocyte migration, adhesion, chemotaxis
2. Increase leucocyte migration, adhesion, chemotaxis
3. Vasoconstriction
4. Increased vascular permeability

Correct answer: 1. Decrease leucocyte migration, adhesion, chemotaxis

Explanation: lopoxins are the metabolites produced lipooxygenase pathway. They act to regulate and counter Balance actions ad Leucotriens i:e, decreases leukocyte adhesion, migration and chemotaxis. .ref Robbins 9/e p46